Which is the most laterally located deep cerebellar nucleus?
1. Emboliform nucleus
2. Dentate nucleus
3. Globose nucleus
4. Fastigial nucleus

Correct answer: 2. Dentate nucleus

Explanation: Dentate nucleus is the largest, most laterally placed and most conspicuous of the deep cerebellar nuclei. From lateral to medial, the four deep cerebellar nuclei are the Dentate, Emboliform, Globose, and Fastigial. An easy mnemonic device to remember their names and positions relative to the midline is the phrase "Don't Eat Greasy Food"